6-Mercaptopurine (6-MP), frequently used in drug regimens for neoplastic disease, is metabolized by xanthine oxidase. Major dose reductions are advised in patients who are being treated with
1. cimetidine
2. sulfinpyrazone
3. allopurinol
4. indomethacin

Correct answer: 3. allopurinol

Explanation: Allopurinol is a uricosuric drug used in chronic gout that prevents formation of uric acid from purines by acting as a suicide substrate of xanthine oxidase. The drug is commonly used in patients undergoing treatment of cancer to slow down formation of uric acid derived from purines released by the cytotoxic action of drugs or radiation. The metabolism of 6-mercaptopurine (6-MP), a substrate for xanthine oxidase, is also inhibited by allopurinol, necessitating a major dose reduction to avoid its toxic effects.